Which of the following is not a labile cell:
1. Bone marrow
2. Epidermal cells
3. Small intestine mucosa
4. Hepatocytes

Correct answer: 4. Hepatocytes

Explanation: Hepatocytes